Fibrin is degraded by-
1. Plasminogen
2. Thromboplastin
3. Plasmin
4. FD

Correct answer: 3. Plasmin

Explanation: Ans. is 'c' i.e., Plasmin Fibrinolvtic system o Coagulation must be balanced with fibrinolysis to limit the hemostatic plug to the site of injury. o Injured vascular endothelium secret plasminogen activator that converts inactive plasminogen to active plasmin. o Plasmin breaks down fibrin resulting in production of fibrin degradation products. o Fibrinolytic system is regulated by plasminogen activator inhibitors (PAIs) that are secreted by endothelium.